The best approach to a female neonate presenting with vaginal bleeding on day 4 of life is:
1. Administration of Vitamin K
2. Investigation for bleeding disorder
3. No specific therapy
4. Administration of 10 ml/kg of fresh frozen plasma over 4 hours

Correct answer: 3. No specific therapy

Explanation: Vaginal bleeding -see in female neonates After 3-5 days of birth Due to effect of withdrawal of maternal hormones. No specific therapy